Optic tract lesions presents with -
1. Bitemporal hemianopia
2. Binasal hemianopia
3. Homonymous hemianopia
4. Superior quadrantanopia

Correct answer: 3. Homonymous hemianopia

Explanation: Optic tract lesions cause incongurant homonymous hemianopia.